All are true about Pseudomyxoma peritonei EXCEPT:
1. Common in male
2. Associated with ovary tumours
3. Yellow jelly collection of fluids
4. Appendicetal adeno carcinoma

Correct answer: 1. Common in male

Explanation: (Common in male) (1146-Baily & Love 24th) (1003-BaiIy & Love 25th)PSEUDOMYXOMA PERITONEI - is a rare malignant process of the peritoneal cavity that characteristically arise from ruptured ovarian or appendiceal adeno carcinoma.* The peritoneum becomes coated with a mucous secreting tumours that fills the peritoneal cavity with tenaceous semisolid mucous, large loculated cystic masses may also from within the abdomen* Most prevalent in women between 50 - 70 years of age (often asymptomatic)* Symptoms - Abdominal pain and distension with non shifting dullness* At laparotomy - liters of yellowish gray mucoid jelly material are present on the omental and peritoneal surfaces.TREATMENT* Peritonectomy and omentectomy* Appendiceal adenocarcinoma - Right colectomy* Ovarian malignancy - TAS with BSOPost operative - 5FU, mitomycin, cisplatin, intraperitoneal mucolytics dextransulfate and plasminogen activator (Urokinase)